Which of the following carpal bone fracture causes median nerve involvement?
1. Scaphoid
2. Lunate
3. Trapezium
4. Trapezoid

Correct answer: 2. Lunate

Explanation: Perilunate dislocation Among all of the lunate dislocation, perilunate dislocation is most common. The most common type of perilunate instability is transscaphoid perilunate fracture dislocation. Median nerve is most commonly involved nerve. The most commonly used method of closed reduction is tavernier's maneuver. Ref: Rockwood & Green's fracture in Adults 6/e, Page 864-82.